Increased heel pad thickness can be measured on X ray of foot as shown. This can be seen in all conditions except?
1. Granulated GH cell adenoma
2. Callus formation
3. Hypothyroidism
4. Hyperthyroidism

Correct answer: 4. Hyperthyroidism

Explanation: Causes of Heel pad thickness (Mnemonic: DOC MACRO) 1. Drugs like phenytoin 2. Obesity 3. Callus formation 4. Myxoedema 5. Acromegaly